Number of structural genes in Lac operon is
1. 3
2. 4
3. 5
4. 6

Correct answer: 1. 3

Explanation: The structural gene for b-galactosidase (lacZ) is clustered with the genes responsible for the permeation of lactose into the cell (lacY) and for thiogalactoside transacetylase (lacA). The structural genes for these three enzymes, along with the lac promoter and lac operator (a regulatory region), are physically associated to constitute the lac operonRef: Harper 27e, page: 430